In alopecia areata, seen is –
1. Exclamation mark hair
2. Scarring
3. Fungal infection
4. Traumatic

Correct answer: 1. Exclamation mark hair